Freshly prepared ORS should be used within
1. 12 hours
2. 1 day
3. 2 days
4. 4 hours

Correct answer: 2. 1 day